Post head injury, the patient had conductive deafness and on examination, tympanic membrane was normal and mobile with increased compliance on impedance. Likely diagnosis is:
1. Distortion of ossicular chain
2. Hemotympanum
3. Tympanosclerosis
4. Otosclerosis

Correct answer: 1. Distortion of ossicular chain

Explanation: (a) Distortion of ossicular chain(Ref Cummings, 6th ed., 2055)Intact TM with increased compliance on impedance suggests distortion of ossicular chain.Hemotympanum is a possibility following head injury leading to conductive deafness but here TM compliance will be reduced.Tympanosclerosis and otosclerosis do not follow head injury and Tympanometry shows reduced compliance.